Cancer cachexia is due to?
1. TNF-a
2. IL-5
3. IL-8
4. Phopholipase A2

Correct answer: 1. TNF-a

Explanation: Ans. is 'a' i.e., TNF-a "Factors that have been most strongly associated driving skeletal muscle catabolism in cancer patients include tumor necrosis factor (TNF-a) and Proteolysis-inducing factor (P1F)."Factors associated with cancer cachexiaa) Tumor Factors (produced by tumor cells)i) Proteolysis-inducing factor (PIF)ii) Lipid-mobilising factors (LMF).iii) Parathyroid hormone-related peptide (PTHrP)b) Host factors (produced by host cells)i) TNF-a (also k/a fcachexin? or 'cachectin')ii) IFN-giii) IL-1 and IL-6.iv) CRPv) Ghrelin